Which one of the following is nor a feature of irritable bowel syndrome?
1. Abdominal pain
2. Constipation
3. Rectal bleeding
4. Bloating

Correct answer: 3. Rectal bleeding

Explanation: Answer is C (Rectal Bleeding) Irritable Bowel syndrome is characteristically not associated with rectal bleeding. Evidence of blood in stool should raise an alarm that a process other than IBS is operating and should prompt further investigations. Abdominal pain, abnormal stool formation (hard/constipation or loose/ watery stool), and Bloating or feeling abdominal distension are characteristic features of Irritable Bowel Syndrome. Symptoms that cumulatively support the diagnosis of Irritable Bowel Syndrome: Abnormal stool frequencyQ (fbr research Imposes., "abnormal- defined as > 3 bowel movements/week) Abnormal stool formations (lumpy/hard or loose/watery stool) Abnormal stool habitsQ (straining, urgency, or feeling of incomplete evacuation) Passage al mucusQ Bloating or feeling of abdominal distention The diagnosis of a functional bowel disorder always presumes the absence of a structural or biochemical explanation for the symptoms. Dagnostic criteria for Irritable Bowel Syndrome 1. Recurrent abdominal pain or discomfort at least 3 days per month in the last 3 months associated with two or more of the follow ing I. Improvement with defecation 2. Onset associated with a change in frequency of sioole 3. Onset associated with a change in form (appearance) of stoolQ. Criteria fulfilled for the last 3 months with symptom onset at least 6 months prior to diagnosis. Discomfort means an uncomfortable sensation not described as pain. In pathophvsiologv research and clinical trails, a pain/discomfort frequency of at least 2 days a week during screening evaluation is required for subject eligibility.